A patient was given anti- cancer therapy and developed neutropenia which of the following drug can be used to prevent neutropenia in next cycle of chemotherapy?
1. Filgrastim
2. Prednisolone
3. Vitamin B12
4. Folic Acid

Correct answer: 1. Filgrastim

Explanation: There are 3 types of cells in the body. (1) RBC (2) WBC (3) Platelets On bone marrow suppression due to anticancer therapy it will lead to | RBC - Anemia |WBC -Neutropenia | Platelets- thrombocytopenia To prevent these conditions, we can give growth- factors of following cells in the form of drugs DRUGS Growth factor for RBC Erythropoietin Darbopoietin Growth factor for WBC G -CSF GM- CSF Filgrastim Sargramostim Growth factor for Platelets IL -11 Oprelvekin